Apoptosis is inhibited by -
1. RAS
2. N-myC
3. BC1-2
4. All

Correct answer: 3. BC1-2

Explanation: Ans. is 'c' i.e. Bcl-2